How many Champy's osteosynthesis lines exist behind and in the front end of mental foramen:
1. 2 ahead of and 1 behind the mental foramen.
2. 1 ahead of and 2 behind the mental foramen.
3. 2 ahead of and 2 behind the mental foramen.
4. 1 ahead of and 1 behind the mental foramen.

Correct answer: 1. 2 ahead of and 1 behind the mental foramen.